Which of the following is not seen in Indirect Laryngoscopy:
1. Base of tongue
2. Pyriform fossa
3. Posterior Commissure
4. Sub glottis

Correct answer: 4. Sub glottis

Explanation: Hidden areas of larynx which are not seen on Indirect Laryngoscopy : Laryngeal Surface of epiglottis Ventricle Anterior commissure Subglottis Post Cricoid Area